Investigation which should not be done in a patient with brain tumor:
1. CT Scan
2. Lumber Puncture
3. MRI
4. X - Ray

Correct answer: 2. Lumber Puncture

Explanation: B i.e. Lumber puncture Raised ICT (example in Brain Tumor) is an absolute contraindication for L.P. as there is risk of brain herniation & sudden death.Q